Which of the following diseases needs not to be screened for, in workers to be employed in a dye industry in gujarat?
1. Anemia
2. Bronchial asthma
3. Bladder cancer
4. Precancerous lesion

Correct answer: 1. Anemia

Explanation: Prepalcement examination in dye industries include asthma,skin and bladder,kidney diseases,precancerous lesion.Anemia comes under lead.(Ref.PARK'S textbook of preventive and social medicine 21st edition page no.753)